Aspermia is a term used to describe:
1. Absence of sperm in ejaculate
2. Absence of sperm motility
3. Absence of semen
4. Absence of sperms with normal form

Correct answer: 3. Absence of semen

Explanation: Explanation: Oligospermia/oligozoospermia Decreased sperm number Asthenospermia/asthezoospermia Decreased sperm motility Teratozoospermia Increased abnormal forms of sperm Azoospermia No sperm in semen Aspermia No ejaculate/ semen Necrozoospermia All sperms nonviable/ non motile Ref: INFEILITY Dutta Gyn. 5th edition, page-242.